Black gun powder made of:
1. Potasium nitrate
2. Charcoal
3. Sulfur powder
4. All

Correct answer: 4. All

Explanation: A i.e. Potassium nitrate; B i.e. Charcoal; C i.e. Sulfur